All of the following may cause Traumatic Asphyxia, EXCEPT:
1. Railway Accident
2. Road Traffic Accident
3. Accidental strangulation
4. Stampede in crowd

Correct answer: 3. Accidental strangulation

Explanation: Strangulation is not a form of traumatic asphyxia. It is an asphyxia which is caused from constriction of the neck by a ligature without suspending the body. Ref: The Essentials of Forensic Medicine and Toxicology By Dr K S Narayan Reddy, 27th Edition, Pages 306, 322-3 and 28th Edition, Pages 309, 319